Which of the following HLA is associated with rheumatoid arthritis
1. DR 2
2. DR 3
3. DR 4
4. DR 5

Correct answer: 3. DR 4

Explanation: HLA B 27SERONEGATIVE ARTHRITIS (AS, REACTIVE, PSORIATIC, ENTEROPATHIC)HLA DR2 NARCOLEPSYGOOD PASTURE SYNDROMEHLA DR 3DQ8TYPE I DM DERMATITIS HERPETIFORMISHLA DR 4 RHEUMATOID (STRONG ASSOCIATION)PEMPHIGUS VULGARISHLA B8MGHLA DQ2/DQ8CELIAC DISEASEHLA DR 2,3,5,7PROTECTION AGAINST RAHLA B51 B5BEHCET SYNDROMEHLA B57ABACAVIR HYPERSENSITIVITY